A child age 5 years, presents with loss of vision and mild proptosis of left eye. On examination direct light reflex is absent but consensual is present in left eye. He is –
1. Optic nerve glioma
2. Optic sheath meningioma
3. Retinoblastoma
4. Optic disc angioma

Correct answer: 1. Optic nerve glioma

Explanation: Information in this question are :-

Age 5 year
Loss of vision and proptosis
Absent ispsilateral direct light reflex with present ipsilateral consensual reflex → Total afferent pupillary defect (amaurotic light reflex).

Afferent pupillary defect can be seen in optic nerve glioma and optic nerve sheath angioma, amongst the given options. Both of these can cause loss of vision and proptosis. However optic nerve glioma occurs in first decade of life while optic nerve sheath mengioma occurs in adulthood. So, the best answer here is optic nerve glioma
Retinoblastoma and optic disc angioma do not cause afferent pupillary defect.